The most common location of ventricular septal defect is-
1. Perimembranous
2. Muscular
3. Doubly-committed subaenal
4. None

Correct answer: 1. Perimembranous

Explanation: The VSD is usually single and situated in the membranous or midmuscular portion of the septum. ( Harrison's principle of internal medicine,18th edition,pg no. 1923)